Which of the following is not a nucleoside reverse transcriptase inhibitor -
1. Zalcitabine
2. Lamivudine
3. Nevirapine
4. Didanosine

Correct answer: 3. Nevirapine